All of the following can precipitate porphyria except ?
1. Steroids
2. Griesiofulvin
3. Penicillin
4. Estrogen

Correct answer: 3. Penicillin

Explanation: Ans. is 'c' i.e., Penicillin Penicillin is a safe drug in acute intermittent porphyria Drugs precipitating acute intermittent porphyria Barbiturates Griseofulvin Chlorpropramide Rifampicin Oral contraceptives Estrogen Phenytoin Sulfonamides